All of the following are true except:
1. NADPH oxidase acts via superoxide ions
2. Chediak-Higashi syndrome is due to defective phagolysosome formation
3. In Brutons agammaglobulinemia opsonisation is not affected
4. Myeloperoxidase action is mainly due to OCI-

Correct answer: 3. In Brutons agammaglobulinemia opsonisation is not affected

Explanation: c. In Brutons agammaglobulinemia opsonization is not affected(Ref: Nelson's 20/e p 1012-1016, Ghai8/ep 186)IgM is important for opsonization, so in Brutons agammaglobulinemia opsonisation is affected.